In the production of female gametes, which of the following cells can remain dormant for 12-40 years
1. Primordial germ cell
2. Primary oocyte
3. Secondary oocyte
4. First polar body

Correct answer: 2. Primary oocyte

Explanation: Primary oocytes are formed by month 5 of fetal life and remain dormant until puberty, when hormonal changes in the young woman stimulate the ovarian and menstrual cycles. From 5 to 15 oocytes will then begin maturation with each ovarian cycle throughout the woman's reproductive life.